Sodium Thiopentone is ultra short acting d/t
1. Rapid absorption
2. Rapid metabolism
3. Rapid redistribution
4. Rapid excretion

Correct answer: 3. Rapid redistribution

Explanation: Barbiturate pharmacokinetics has been described in physiologic and compartment models. Both these pharmacokinetic models describe rapid redistribution as the primary mechanism that terminates the action of a single induction dose. Physiologic models of barbiturates describe a rapid mixing of the drug within the central blood volume followed by a quick distribution of the drug to highly perfused, low-volume tissues (i.e., brain), with a slower redistribution of the drug to lean tissue (muscle), which terminates the effect of the initial (induction of anesthesia) dose. In these models, adipose tissue uptake and metabolic clearance (elimination) play only minor roles in the termination of the effects of the induction dose. The reasons are the minimal perfusion ratio of adipose tissue compared with other tissues and the slow rate of removal. Ref: Miller's anesthesia 8th edition